A patient has been diagnosed with Marfan syndrome. Which of the following is the most common cause of death in these patients?
1. Liver disease
2. Myocardial infarction
3. Recurrent infection
4. Aortic disease

Correct answer: 4. Aortic disease

Explanation: Marfan syndrome Autosomal dominant Defect in an extracellular glycoprotein called fibrillin-1. Loss of fibrillin- Clinical manifestations of Marfan syndrome. Loss of structural support in microfibril rich connective tissue and excessive activation of TGF-b signaling. Skeletal abnormalities Unusually tall Exceptionally long extremities and long, Tapering fingers and toes. Cardiovascular lesions Mitral valve prolapse Aortic Dissection.